Which type of breast carcinoma is bilateral and multicentric?
1. Ductal
2. Lobular
3. Medullary
4. Colloid

Correct answer: 2. Lobular

Explanation: 1Ans: b (Lobular) Ref: Bailey, 24thMost Ca breast are adenocarcinoma.Types:* Ductal: in situ invasive* LobularMost common type: invasive ductal typeDuctal carcinoma arises from epitheliumColloid carcinoma--Cells produce abundant mucinMedullary Ca-- Solid sheets of large cells often associated with marked lymphocytic reactionInfiltrative Ca-- Rare highly aggressive Ca that present as a painful swollen breast with cutaneous odema.Tubular CaBreast carcinoma with good prognosis even with axillary lymph nodes--medullary CaBulls eye appearance is seen in - invasive lobularDesmoplastic reaction is shown by - ductal invasiveComedo carcinoma is - ductal carcinoma in situ (DCIS)Most common variant of breast carcinoma- ductal invasiveLobular carcinoma - multicentric and bilateralThe underlying lobular architecture can still be recognised on microscopic examination "Indian file pattern" is seen